Rapid urease positive test is done in ?
1. H. Pylori
2. S. Aureus
3. Klebsiella
4. Staphylococcus

Correct answer: 1. H. Pylori

Explanation: Ans. is 'a' i.e., H. Pylori